All are true for conversion reaction Except
1. Seondary gain
2. Onset inlate age
3. Patient does not consciously produce symptoms
4. Relation with stress

Correct answer: 2. Onset inlate age

Explanation: B i.e. Onset in late age